Fundoscopy of a patient shows chalky white optic disc with well defined margins. Retinal vessels and surrounding retina appears normal. Which of the following is the most likely diagnosis:
1. Primary Optic Atrophy
2. Post-neuritic secondary optic atrophy
3. Glaucomatous optic atrophy
4. Consecutive optic atrophy

Correct answer: 1. Primary Optic Atrophy

Explanation: A i.e. Primary Optic Atrophy